Which is the most common cause of spherocytosis
1. Hereditary spherocytosis
2. GCPD deficiency
3. AIHA
4. PNH

Correct answer: 3. AIHA

Explanation: Auto immune hemolytic Anemia (AIHA) is the most common cause of spherocytosis.